Gasless abdomen in xRay is a sign of
1. Acute pancreatitis
2. Necrotizing enterocolitis
3. Ulcerative colitis
4. Intussusception

Correct answer: 1. Acute pancreatitis

Explanation: Radiological appearance of Acute pancreatitis Renal halo sign Gasless abdomen. Ground glass appearance Colon cut off sign Sentinel loop Ref: Sabiston 20th edition Pgno : 1527